In a female with appendicitis in pregnancy treatment of choice is
1. Surgery at earliest
2. Abortion with appendectomy
3. Surgery after delivery
4. Continue pregnancy with medical Rx

Correct answer: 1. Surgery at earliest

Explanation: Acute Appendicitis incidence is about 1 in 1000 pregnancies. It is most common nongyneocological cause of acute abdomen requiring surgery. Management of appendicitis Treatment consists of laparotomy at the earliest oppurtunity.Once the diagnosis is suspected it is better to operate rather than to wait until generalised peritonitis has developed.Muscle splitting incision should be made at the point of maximum tenderness.Laparoscopic appendicectomy can be done before 28 weeks of gestation. D.C.DUTTA'S TEXTBOOK OF OBSTETRICS,Pg no:285,9th edition